All are true about Klippel-Feil syndrome EXCEPT:
1. Bilateral neck webbing
2. Bilateral shortening of sternocleidomastoid
3. Low hair line
4. Restriction of neck movements

Correct answer: 2. Bilateral shortening of sternocleidomastoid

Explanation: ANSWER: (B) Bilateral shortening of sternocleidomastoidREF: Apley's 8th ep. 161Klippel-Feil syndrome is due to congenital fusion of one or more cervical vertebraeClassical triad:* Short web neck due to prominent trapezius and not short sternomastoidsLow posterior hair lineRestriction of neck movementsOther findings:ScoliosisSprengel's deformityGenitorenal abnormalitiesCongenital heart defectsOcular abnormalities like duane's contractureDeafness